Intraepidermal blisters are seen in all of the following conditions except –
1. Pemphigus foliaceous
2. Pemphigus vulgaris
3. Paraneoplastic pemphigus
4. Pemphigoid

Correct answer: 4. Pemphigoid